Admixed high copper alloy powder contains
1. 9-20% copper
2. 13-20% copper
3. 9-30% copper
4. 13-30% copper

Correct answer: 1. 9-20% copper